Which of the following cardiac valves is not commonly involved in rheumatic fever?
1. Mitral
2. Aortic
3. Pulmonary
4. Tricuspid

Correct answer: 3. Pulmonary

Explanation: In chronic disease the mitral valve is virtually always involved. The mitral valve is affected in isolation in roughly two thirds of RHD, and along with the aortic valve in another 25% of cases. Tricuspid valve involvement is infrequent, and the pulmonary valve is only rarely affected.